Ca urinary bladder commonly presents as
1. Dysuria
2. Hematuria
3. Frequency
4. Abdominal lump

Correct answer: 2. Hematuria

Explanation: Painless haematuria is by far the most common symptom and should be regarded as indicative of a bladder carcinoma untill proven otherwise." MC primary tumor which gives secondary to penis - bladder carcinoma Commonest tumor of Urinary bladder - transitional cell Ca Commonest tumor of U.B. in a child - rhabdomyosarcoma MC symptom of renal cell Ca - painless hematuria MC symptom of wilm's tumor - mass in abd. MC symptom of bony metastasis - pain MC symptom of renal stone - pain Earliest symptom of vesical calculus - Frequency Cardinal symptom of renal trauma - Hematuria MC symptom of acute arterial occlusion - pain Ref : Bailey & Love 25/e p1336